Crumbled egg shell calcification of liver is seen in:
1. Hemangioma
2. Hepatoma
3. Hydatid cyst
4. Liver abscess

Correct answer: 3. Hydatid cyst

Explanation: Ans: c (Hydatid cyst) Ref: David Sutton, 7thed, p. 740; Harrison, 16th ed, p. 1275Egg shell or mural calcification in CT liver is indicative of E. granulosus infection, and helps to distinguish the cyst from carcinomas, bacterial or amoebic liver abscess or hemangiomas.The appearance is pathognomonic and is due to the presence of daughter cysts within the larger cyst.Calcification patterns seen in radiology1. Stippled calcification in plain X-ray abdomen- Neuroblastoma2. Curvilinear calcification in plain X-ray abdomen- Wilm's tumor3. Tram track /rail road calcification in skull X-ray- Sturge Weber syndrome4. Pop com calcification- Pulmonary hamartoma5. Suprasellar calcification- Craniopharyngioma6. Ochronosis/ calcification of intervertebral disc.- Alkaptonuria7. Pericardial calcification- Constrictive pericarditis8. Calcification in heart wall- Carcinoid syndrome9. Rice grain calcification- Cysticercosis10. Basal ganglia calcification- Hyperparathyroidism11. Urinary bladder calcification- Schistosomiasis12. Calcification of meniscal cartilage- Pseudogout13. Calcification of interspinous ligament- Ankylosing spondylitis.14. Intraocular calcification- Retinoblastoma15. Bracket calcification- Lipoma of corpus callosumEgg shell calcification of lymph node in chest x ray seen in:* Silicosis* Sarcoidosis* Coal worker's pneumoconiosis* Lymphoma following radiotherapy* Histoplasmosis* Amyloidosis* Scleroderma